Features of functional aphonia -a) ↑Incidence in malesb) Due to vocal cord paralysisc) Can coughd) On laryngoscopy vocal cord is abductede) Speech therapy is the treatment of choice
1. ab
2. bc
3. bd
4. cd

Correct answer: 4. cd

Explanation: Functional aphonia or hysterical aphonia is a functional disorder mostly seen in emotionally labile females in th age group of 15-30 years.
Laryngoscopy Examination shows vocal cord in abducted position and fails to adduct on phonation, however adduction is seen on coughing, indicating normal adductor function.
Treatment : – Reassurance of the patient of normal laryngeal function and psychotherapy

                           – Speech therapy has no role in it.